Refrigerated blood stored up to 48 hours before transfusion can destroy which of the following ?
1. HIV
2. Hepatitis B
3. Treponema pallidum
4. P. Vivax

Correct answer: 3. Treponema pallidum

Explanation: Ans. is 'c' i.e., Treponema pallidum . Susceptibility of T. pallidum to heat was the basis of the fever therapy for syphilis. . It is killed in 1-3 days at 0-4degC, so that transfusion syphilis can be prevented by storing blood for at least four days in the refrigerator before transfusion.